Polyneuropathy may be seen in all of the following, except:
1. Vitamin deficiency
2. Osteoporosis
3. DM
4. Myxoedema

Correct answer: 2. Osteoporosis

Explanation: Answer is B (Osteoporosis): Osteoporosis is not associated with polyneuropathy Vitamin deficiency, diabetes, amyloidosis and myxoedema may all be associated with polyneuropathy. Condition Polyneuropathy Vitamin deficiency excluding B12 * Sensorimotor polyneuropathy Vitamin B12 deficiency * Sensory polyneuropathy Diabetes Mellitus * Sensory polyneuropathy or sensori motor polyneuropathy (rarely motor neuropathy alone) Amyloidosis (rare) * Sensorimotor polyneuropathy Myxoedema (rare) * Sensory polyneuropathy